All of the following are indications of doing medical termination of pregnancy except -
1. Pregnancy from rape
2. Substantial risk of delivering seriously handicapped baby
3. Very poor socio economic position of the family
4. Injury to physical and mental health of the pregnant women

Correct answer: 3. Very poor socio economic position of the family

Explanation: Ans. is 'c' i.e., Very poor socio economic position of the family The conditions under which a pregnancy can be terminated under the MTP Aci.1971o There are 4 conditions that have been identified in the Act :Medical Where continuation of the pregnancy might endanger the mother's lifeor cause grave injury to her physical or mental health.Eugenic Where there is substantial risk of the child being bom with serious handicaps due to physical or mental abnormalities.Humanitarian Where pregnancy is the result of rape.Failure of contraceptive devices The anguish caused by an unwanted pregnancy resulting from a failure of any contraceptive device or method can be presumed to constitute a grave mental injury to the health of the mother. This condition is a unique feature of the Indian law and virtually allows abortion on request, in view of the difficulty of proving that a pregnancy was not caused by failure of contraception.